Zafirlukast used in asthmatic patients acts by
1. Phosphodiesterase inhibition
2. Endothelium receptor blockage
3. Leukotriene receptor blockage
4. Lipoxygenase inhibitor

Correct answer: 3. Leukotriene receptor blockage

Explanation: Drugs for Bronchial AsthmaMechanism of actionDrugsBronchodilators b2 sympathomimetics Salbutamol, Terbutaline, Bambuterol, Salmeterol, Formoterol, Ephedrine Methylxanthine Theophylline, Aminophylline, Choline theophyllineAnticholinergics Ipratropium bromide, Tiotropium bromide Leukotriene antagonist Montelukast, Zafirlukast Mast cell stabilizers Sodium cromoglycate, Ketotifen Corticosteroids Systemic Hydrocortisone, Prednisolone Inhalational Beclomethasone, Budesonide, Fluticasone, Flunisolide, Ciclesonide Anti IgE antibody Omalizumab (Refer: Rang and Dale's Clinical Pharmacology, 7th edition, pg no: 345)